Which of the following is not true regarding cholangitis
1. Increased leucocyte count
2. Decreased transaminases
3. Increased alkaline phosphatase
4. Association with fever and chills

Correct answer: 2. Decreased transaminases

Explanation: Cholangitis It is characterized by charcot's triad od abdominal pain+ jaundice + fever There is leucocytosis, hyperbilirubinemia and raised ALP and transaminases Positive blood culture is more common in partial obstruction than with complete obstruction Cholangiography is mandatory as a diagnostic and potentially therapeutic intervention Ref: Sabiston 20th edition Pgno :1507